Which is not true about beclomethasone ?
1. Indicated for chronic use
2. Inhalational steroid
3. Effective in acute asthma
4. Predispose to fungal infections

Correct answer: 3. Effective in acute asthma